Commonest site of occurrence of chondrosarcoma is:
1. Pelvis
2. Femur
3. Ribs
4. Proximal tibia

Correct answer: 1. Pelvis

Explanation: CHONDROSARCOMA It occurs over a broad age range: Peaks between 40 and 60 years for primary chondrosarcoma,and Between 25 and 45 years for secondary chondrosarcoma. Most are located in a proximal location such as: pelvis (most common site) proximal femur proximal humerus They occur in bones derived from enchondral ossification. Usually metaphyseal and central i.e. arising in the medullary cavity